Drug used for prophylaxis of meningococcal meningitis:
1. Chloramphenicol
2. Erythromycin
3. Tetracyclin
4. Rifampicin

Correct answer: 4. Rifampicin

Explanation: Ans. D: Rifampicin Short-term antibiotic prophylaxis is also a method of prevention, particularly of meningococcal meningitis. In cases of meningococcal meningitis, prophylactic treatment of close contacts with antibiotics (e.g. rifampicin, ciprofloxacin or ceftriaxone) can reduce their risk of contracting the condition, but does not protect against future infection Routine vaccination against Streptococcus pneumoniae with the pneumococcal conjugate vaccine (PCV), which is active against seven common serotypes of this pathogen, significantly reduces the incidence of pneumococcal meningitis. The pneumococcal polysaccharide vaccine, which covers 23 strains, is only administered in certain groups (e.g. those who have had a splenectomy); it does not elicit a significant immune response in all recipients, e.g. small children. Childhood vaccination with Bacillus Calmette-Guerin has been reported to significantly reduce the rate of tuberculous meningitis, but its effectiveness wanes in adulthood